Triad of hemobilia includes all, EXCEPT ?
1. Pain
2. Fever
3. G.I. bleeding
4. Jaundice

Correct answer: 2. Fever

Explanation: Ans is b i.e. Fever